Which of the following is used in urinary bladder carcinoma?
1. 5FU
2. BCG
3. Cyclophosphamide
4. 6 Mercapto Purine

Correct answer: 2. BCG

Explanation: Amns. (b) BCGRef: Sabiston Textbook of surgery 18th ed Table 77-6